Honeycombing is seen in liver in case of :
1. Cirrhosis
2. Rupture
3. Putrefaction
4. Hydatid disease

Correct answer: 3. Putrefaction

Explanation: C i.e. Putrefaction